What is the appearance of the RBCs on the peripheral smear in physiological anaemia of the pregnancy?
1. Microcytic and Hypochromic
2. Macrocytic and Hyperchromic
3. Normocytic and Normochromic
4. Microcytic and Normochromic

Correct answer: 3. Normocytic and Normochromic

Explanation: Physiological anemia is due to hemodilution. Peripheral smear will be normocytic and normochromic, which is not to be confused with Iron deficiency Anemia & thalassemia where the women have microcytic hypochromic anemia